Which of the following is Chemical stomach poison for mosquito?
1. DDT
2. Malathion
3. Paris green
4. Pyrethrum

Correct answer: 3. Paris green

Explanation: Chemical measures for mosquito control:- Stomach poison: Paris green (anti-larval measure). It is copper acetoarsenite. Sodium fluoride is also a stomach poison of mosquito Nerve / contact poison: DDT, Pyrethrum, Malathion (Anti-adult measures). Act by inhibiting acetylcholinesterase enzyme.